The following statements are true with references to Mycoplasma except:
1. They are the smallest prokaryotic organisms that can grow in cell free culture media
2. They are obligate intracellular organisms
3. They lack a cell wall
4. They are resistant to Beta-lactam drugs

Correct answer: 2. They are obligate intracellular organisms

Explanation: Ans. is 'b' i.e., They are obligate intracellular organisms.(Ref: Harrison, 19th/e, p. 1163; Ananthanarayan, 9th/e, p. 386)Obligate intracellular bacteria are: M leprae, Chlamydia, Rickettsiae, Coxiella burnetti, Pathogenic treponemes so cannot grow on artificial cell free culture media. Mycoplasma grows on artificial cell free culture media.